Pulsations of the following artery can be felt over the zygoma
1. Transverse facial artery
2. Facial artery
3. Deep temporal artery
4. Superficial temporal artery

Correct answer: 4. Superficial temporal artery

Explanation: The superficial temporal artery enters scalp in front of root of zygoma and divides into anterior and posterior branches.The pulsations of the facial artery can be felt 1.25 cm lateral to the angle of the mouth.Reference: Textbook of anatomy, head neck, and brain, Vishram Singh, 2nd edition, page no.49